All of the following simulate chronic hepatitis except:
1. HBV
2. Haemochromatosis
3. Willson's disease
4. HAV

Correct answer: 4. HAV

Explanation: Ans: D (HAV) Chronic hepatitis is seen in hepatitis B infection.Wilson's disease may prevent as chronic hepatitis before neurological manifestation and formation of K.F. ring.Liver is first organ involved in haemochromatosis. In haemochromatosis there may be fibrosis cirrhosis or hepatocellular carcinoma (30% cases)Chronic hepatitis never seen in hepatitis A infectionQTable: Clinical and Laboratory Features of Chronic HepatitisType of HepatitisDiagnosticAutoantibodiesTherapyChronic hepatitis BHBsAg, IgG anti- HBc, HBeAg, HBV DNAQUncommonIFNa, PEG IFN-a, lamivudine, adefovir, entecavirChronic hepatitis CAnti-HCV, HCV RNAQAnti-LKM1Q oPEG IFN-a plus ribavirinChronic hepatitis DAnti-HDV, HDV RNA, HBsAg, IgG anti-HBcAnti-LKM3IFN-a PEG IFN-aAutoimmune hepatitisANAc (homogeneous), anti-LKM1 (+-), HyperglobuiinemiaANA, anti-LKM1, anti-SLAd Prednisone, azathioprine Drug- associated--UncommonWithdraw drugCryptogenicAll negativeNonePrednisone (?), azathioprine (?)